Posterior urethral valve are commonly observed in ?
1. Boys
2. Girls
3. Adult males
4. Adult females

Correct answer: 1. Boys

Explanation: Ans. is 'a' i.e., Boys